All are features of hemolytic uremic syndrome, EXCEPT:
1. Thrombocytopenia
2. Anemia
3. Renal dysfunction
4. Neuro-psychiatric disturbances

Correct answer: 4. Neuro-psychiatric disturbances

Explanation: Neuro-psychiatric disturbances are not a feature of hemolytic uremic syndrome, but may be seen in TTP. HUS: Hemolytic-uremic syndrome (HUS) is a common cause of community acquired acute kidney injury in young children characterised by a triad of Microangiopathic Hemolytic anemia Thrombocytopenia Renal dysfunction In HUS, capillary and arterial endothelial injury in kidney leads to localized thrombosis. The entrapment of platelets in micro-thrombi formed in small blood vessels leads to thrombocytopenia. The consumption of clotting factors due to initiation of coagulation cascade leads to hypofibrinogenemia. Microangiopathic hemolytic anemia results from mechanical damage to red blood cells as they through the damaged and thrombotic microvasculature.